40 year old with koilonychia, iron deficiency and dysphagia, Diagnosis is
1. Plummer Vinson syndrome
2. Achalasia cardia
3. ZES
4. None

Correct answer: 1. Plummer Vinson syndrome

Explanation: Plummer Winson syndrome Classical Features: Dysphagia Iron Deficiency Anaemia Glossitis Angular Stomatitis Koilonychia Achlorhydria Atrophy of mucous membrane of the alimentary canal Predominantly affects females past 40 years Predisposes to development of carcinoma in - Tongue, Buccal mucosa, Pharynx, Esophagus, Stomach. (Ref: Textbook of diseases of ENT, PL Dhingra, 7th edition, pg no. 388)